After radical mastectomy there was injury to the long thoracic nerve. The integrity of the nerve can be tested at the bedside by asking the patient to:-
1. Shrug the shoulders
2. Raise the arm above the head on the affected side
3. Touch the opposite shoulder
4. Lift a heavy object from the ground

Correct answer: 2. Raise the arm above the head on the affected side

Explanation: Nerve Muscle Movement long thoracic nerve serratus anterior overhead abduction. spinal accessory nerve trapezius Shrugging of shoulder Lateral and medial pectoral nerves Pectoralis major touching the opposite shoulder.